A 35 year old athlete has height 184 cm , arm span 194 cm, pulse rate 64/min , BP 148/64 mm Hg . Chest auscultation reveals long Diastolic murmur over right 2nd intercostal space on routine examination. The probable diagnosis is
1. Aortic regurgitation
2. Atrial septal defect
3. Ebstein anomaly
4. Coarctation of aorta

Correct answer: 1. Aortic regurgitation

Explanation: Ref Harrison 19 th ed pg 1536 Arm span greater than height is suggestive of MarfansM syndrome. Aortic regurgitation is a feature associated with Marfan's as well as consistent with a diastolic murmur is second right intercostal space.